If the birth weight of each of the 10 babies born in a hospital in a day is found to be 2.8 kg, then the Standard deviation of this sample will be:-
1. 2.8
2. 0
3. 1
4. 0.28

Correct answer: 2. 0

Explanation: - Standard deviation is deviation of each value from the standard value. - In the given question, the birth weight of each of the 10 babies born in a hospital in a day is found to be 2.8 kg, - standard deviation of this sample, SD (s)=